Mirena is :
1. Used in abortions
2. Antiprogesterone
3. Progesterone IUCD
4. Harmonal implant

Correct answer: 3. Progesterone IUCD

Explanation: Ans. is c i.e. Progesterone IUCD Mirena is a progesterone IUCD. It contains 52mg levonorgesterel. eluting 20pg daily. Life span- 5 years Failure rate = 0.1-0.4/HMY Mode of action : * Inhibits fertilisation Thickens cervical mucus Inhibits sperm function Suppresses endometrium and prevents implantation and inhibits ovulation only in 10-15% cases. Within first seven days of onset of menstruation Immediately after first or second trimester termination of pregnancy After 6 weeks postpartum with contraception for 7 days.